The recommended oral dose of vitamin A to be given in a 10-month child with deficiency on each of day 1, 2 and 28 is __________
1. 50,000 IU
2. 1,00,000 IU
3. 2,00,000 IU
4. 6,00,000 IU

Correct answer: 2. 1,00,000 IU

Explanation: Immediately on diagnosis, oral vitamin A is administered in a dose of 1 lakh IU in children aged 6-12 months.The same dose is repeated next day and 4 weeks later. Ref: Page 121, Ghai essential pediatrics; 6th edition